The maximum permissible radiation exposure per year recommended by NCRP for a radiation worker is –
1. 3 rad
2. 8 rad
3. 10 rad
4. 50 mSv

Correct answer: 4. 50 mSv

Explanation: Maximum permissible dose limit for occupational person (radiation worker) is 50 mSv (5 rem).